Which of the following tumours have an increase delevation of placental alkaline phosphatase in the serum as well as a positive immunohistochemical staining for placental alkaline phosphatase?
1. Seminoma
2. Hepatoblastoma
3. Hepatocellular carcinoma
4. Peripheral neuroectodermal tumour

Correct answer: 1. Seminoma

Explanation: . Seminoma